A patient came with intense pruritic skin lesions over his palms as shown below. Diagnosis
1. Nummular eczema
2. Intertigo
3. Pompholyx
4. TEN

Correct answer: 3. Pompholyx

Explanation: Intense pruritic, "sago - grain" like vesicular lesions over fingers suggests of pompholyx or Acute vesicular dermatitis.